The wall absent in class V lesion
1. Axial wall
2. Mesial
3. Distal
4. Pulpal wall

Correct answer: 4. Pulpal wall